Arias syndrome is also known as:
1. Rotor syndrome
2. Dubin johnson syndrome
3. Crigler Najjar syndrome type I
4. Crigler Najjar syndrome type II

Correct answer: 4. Crigler Najjar syndrome type II

Explanation: Crigler najjar syndrome type II is also known as arias syndrome, is a hereditary disorder of bilirubin metabolism characterized by unconjugated hyperbilirubinemia due to reduced and inducible activity of hepatic bilirubin glucuronosyltransferase (GT). There is partial deficiency of bilirubin uridine diphosphate (UDP) glucuronosyl transferase. Jaundice is milder than type I and there is no kernicterus. The mode of inheritance is autosomal recessive. Ref: Essentials of Rubin's pathology, edited by Emanuel Rubin, Howard M. Reisner, 5th Edition, Page 311